False about ischemic rest pain
1. More in night
2. MC in hand muscle
3. Increse upon elevation of limbs
4. Relieved by dependent position

Correct answer: 2. MC in hand muscle

Explanation: . Rest pain is increased in lying down and elevation of foot;it may be reduced on hanging the foot down.so pain is experiened more during night while patient lying down. Refer page no 170 of SRB 's manual of surgery 5 th edition